Which among the following sinuses is most commonly affected in a child -
1. Sphenoid
2. Frontal
3. Ethmoid
4. Maxillary

Correct answer: 3. Ethmoid